Cyclopropagative type of life cycle is seen in ?
1. Cholera
2. Filaria
3. Plague
4. Malaria

Correct answer: 4. Malaria

Explanation: .
cyclopropagative type of life cycle in which the agent undergoes both multiplication and reproduction in the host.examples of cyclopropogative mode of disease transmission includes MALARIA ,and POLIO.

REF:park's textbook of preventive ansd social medicine,22 nd edition,pg no 235